Randomization is done to reduce-
1. Recall bias
2. Selection bias
3. Berkosonian bias
4. Reporting bias

Correct answer: 2. Selection bias

Explanation: .randomization is a statisticaal procedure in which the participants are allocated to groups usually called study and control gropus.randomization is an approach to ensure comparability by the elimination of bias.randomisaton is the heart of a control trial.it ensures that the investigator has no control over the allocation of participants to groups.thus eliminating what is known as "SELECTION BIAS". ref:park's textbook,22 nd ed,pg 70